Which of the following liver tumors always merit surgery
1. Hemangioma
2. Hepatic adenoma
3. Focal nodular hyperplasia
4. Peliosis hepatitis

Correct answer: 2. Hepatic adenoma

Explanation: Hepatic adenoma always merits surgery. As no characteristic radiological features to differentiate these lesions from malignant tumor. These tumors are thought to have malignant potential and resection is therefore the treatment of choice